Lining of open sanitary well should be extended to a minimum depth of?
1. 5 feet
2. 10 feet
3. 15 feet
4. 20 feet

Correct answer: 4. 20 feet

Explanation: Ans. is 'd' i.e.,20 feet the well should be located not less than 15 m (50 feet) from likely sources of contamination. The well should be located at a higher elevation with rspect to a possible source of contamination.